Mast cells release?
1. IFN-g
2. IL-5
3. Histamine
4. Lysozyme

Correct answer: 3. Histamine

Explanation: Ans. is 'c' i.e., Histamine o Mast cells reside and mature in tissues. They are the most important cells in immediate hypersensitivity and are also the most important source of histamine.o Other secretions are : Serine proteases, Carboxypeptidases, Glycosidoses, Proteoglycans, Sulfatases.